Carey coomb murmur is seen in
1. Severe mitral stenosis
2. Acute rheumatic carditis
3. Pure aortic regurgitation
4. Severe pulmonary HT

Correct answer: 2. Acute rheumatic carditis

Explanation: Answer is B (Acute Rheumatic carditis) Carey coombs murmur is delayed diastolic murmur seen in acute rheumatic carditis and is attributed to excessive left atrial blood flow due to mitral regurgitation. It is not seen in MR, AR or severe pulmonary Hypertension.